Antibody to HSV will begin to appear
1. in a week and reach a peak in 3 weeks
2. only after one year
3. no antibodies are present in primary HSV
4. antibodies are present in recurrent and chronic apthous stomatitis

Correct answer: 1. in a week and reach a peak in 3 weeks